Cause of Farmer's lung -
1. Cotton dust
2. Grain dust
3. Sugarcane dust
4. Iron

Correct answer: 2. Grain dust

Explanation: Ans. is 'b' i.e., Grain dust Farmer's lung is caused by Hay or grain dust